A patient of CSOM has choleastatoma and presents with vertigo . Treatment of choice would be:
1. Antibiotics and labyrinthine sedative
2. Myringoplasty
3. Immediate mastoid exploration
4. Labyrinthectomy

Correct answer: 3. Immediate mastoid exploration

Explanation: The patient is presenting with CSOM and vertigo which means cholesteatoma has led to fistula formation involving semicircular canals which in turn has caused vertigo. So the management is immediate mastoid exploration to remove the cholesteatoma.